Which of the following statement is FALSE regarding hepatic duct?
1. Left hepatic duct formed in umbilical fissure
2. Caudate lobe drains mostly into the left hepatic duct
3. Right hepatic duct drains V and VIII segments
4. Left hepatic duct crosses IV segment

Correct answer: 2. Caudate lobe drains mostly into the left hepatic duct

Explanation: Segment I, the caudate lobe, has its own biliary drainage. Variations of this are common, and in 78% of individuals the caudate lobe drains into both the left and right hepatic duct. The right and left hepatic ducts are formed by the confluence of the segmental ducts within the substance of the liver. The left lobar duct forms in the umbilical fissure from the union of ducts from segments II, III and IV. Right hepatic ducts drains segments V to VIII and arise from the junction of the right anterior and posterior sectoral ducts. Left hepatic duct drains segments II, III and IV that constitutes the left liver. The left hepatic duct traverses beneath the left liver at the base of segment IV, just above and behind the left branch of portal vein, crosses the anterior edge of that vein and joints the right hepatic duct to constitute the hepatic ductal confluence.